All these are used to classify stomach malignancies except
1. Japanese classification
2. Bormann classification
3. Lauren classification
4. Strasberg classification

Correct answer: 4. Strasberg classification

Explanation: Lauren classification. In this system, there are principally two forms of gastric cancer: intestinal gastric cancer and diffuse gastric cancer (often with signet ring cells).Gastric cancer can be divided into early gastric cancer and advanced gastric cancerEarly gastric cancer is defined as cancer limited to the mucosa and submucosa with or without lymph node involvement (T1, any N). This can be either protruding, superficial or excavated in the Japanese classification.Advanced gastric cancer involves the muscularis. Its macroscopic appearances have been classified by Bormann into four typesStrasberg classification for bile duct injuries.Bailey and love 27e pg: 1133